Blood alcohol level while driving mg%:
1. 10
2. 20
3. 30
4. 40

Correct answer: 3. 30

Explanation: Ans. (c) 30Ref: The Essentials ofFSM by K.S. Narayan Reddy 31st ed. / 530-40* 30 mg%- Normal limit for drink and drive* 80 mg%- Nystagmus* 150 mg%- Muscle incoordination* 400 mg%- Coma